Coarse 'Popcorn' calcification on mammogram is due to:
1. Fibroadenoma
2. Fat necrosis
3. Carcinoma in situ
4. Phylloides tumour

Correct answer: 1. Fibroadenoma

Explanation: Ans. Fibroadenoma